An attempt of division of a single tooth before calcification, resulting in incomplete formation of two teeth is called
1. Gemination
2. Twinning
3. Concrescence
4. Fusion

Correct answer: 1. Gemination